Flooding is a type of
1. Behaviour therapy
2. Psychoanalytically-oriented psychotherapy
3. Group therapy
4. Social speech

Correct answer: 1. Behaviour therapy

Explanation: In flooding , a type of behavioral therapy, where the person is exposed to fearful stimulus suddenly, there is extinction of fear and this is called flooding. In flooding there is method of extinction of fear but sometimes it may back fire and may increase anxiety Ref.Kaplon and sadock, synopsis of psychiatry, 11 th edition, pg no. 398